All of the following cause subcortical dementia, Except:
1. Alzheimer's disease
2. Porkinsonism
3. HIV encephalopathy
4. Progressive Supranuclear palsy

Correct answer: 1. Alzheimer's disease

Explanation: Answer is A (Alzheimer's disease):` Dementia from Alzheimer's disease (Dementia of Alzheimer's Type) is the classical proto-type of cortical dementias. Alzheimer's dementia is the most common cortical dementia.